Freezing point of normal human plasma is:
1. 4° C
2. 0° C
3. –0.54° C
4. –1.54° C

Correct answer: 3. –0.54° C